A 9 month old child has multiple itchy papulovesicular lesions on face, trunk, palm & sole. Similar lesions are also seen in the younger brother. Which of the following is most possible diagnosis?
1. Papular urticaria
2. Scabies
3. Atopic dermatitis
4. Allergic contact dermatitis

Correct answer: 2. Scabies

Explanation: B i.e. Scabies